All of the following are essential fatty acids except:
1. Linolenic acid
2. Linoleic acid
3. Lysergic acid
4. Arachidonic acid

Correct answer: 3. Lysergic acid

Explanation: Linolenic acidlinoleic acid-Most important essential fatty acidArachidonic acidEicosapentanoic acid